The structure that is closely related to the posterior end of the mylohyoid ridge is:
1. Lingual nerve
2. Inferior alveolar nerve
3. Mylohyoid nerve
4. None of the above

Correct answer: 1. Lingual nerve